All of the following are known side effects with the use of tocolytic therapy except :
1. Tachycardia
2. Hypotension
3. Hyperglycemia
4. Fever

Correct answer: 4. Fever

Explanation: Ans. is d i.e. Fever